Cervical spine fracture in A patient, what is the first thing to do
1. Intubation
2. Cervical spine immobiliation
3. X-ray spine
4. Trachoostomy

Correct answer: 2. Cervical spine immobiliation

Explanation: Since there are high chances of injury to cervical segments of spinal cord, immobilization of cervical spine is really important. Ref : SRB's 4thE At site of accident: Suspected cervical injury spine injury - one person hold the neck in traction by keeping the head pulled. In emergency department: Two sand bags should be used on either side of neck in order to avoid any movement of neck. Definitive care: Aim To avoid any deterioration of the neurological status To achieve stability of spine by Conservative or operative methods To rehabilitate the paralysed patient to the best possible extent Ref: Maheshwari and Mhaskar essential orthopaedics. 6th edition Pg no:271